Gastrectomy produces deficiency of which vitamin ?
1. Vitamin B6
2. Vitamin B12
3. Vitamin B2
4. Vitamin B1

Correct answer: 2. Vitamin B12

Explanation: Ans. is 'b' i.e., Vitamin B12